Which of the following is responsible for adhesion of platelets to the vessel wall?
1. Von Willebrand factor
2. Factor IX
3. Fibrinogen
4. Fibronectin

Correct answer: 1. Von Willebrand factor

Explanation: the Von-Willebrand factor is responsible for adhesion of platelets to the vessel wall.
“Endothelial injury allows platelets to contact the underlying extracellular matrix;
subsequent adhesion occurs through interactions with von Willebrand factor (VWF),
which is a product of normal endothelial cells and an essential cofactor for platelet binding to matrix elements."—